True about the location of parotid gland:
1. Between the ramus of the mandible and buccinator.
2. Between the ramus of the mandible and sternocleidomastoid.
3. Between the ramus of the mandible and masseter.
4. Between the ramus of the mandible and medial pterygoid.

Correct answer: 2. Between the ramus of the mandible and sternocleidomastoid.